Following statements are true about Mifepristone except:
1. It is used for induction of abortion
2. It is a selective progesterone receptor modulator
3. It is a glucocorticoid receptor agonist
4. It is progesterone receptor antagonist in endometrium

Correct answer: 3. It is a glucocorticoid receptor agonist

Explanation: Mifepristone: Progesterone antagonist with partial agonist activity. Administration of this drug to females early in pregnancy usually results in abortion of the fetus due to interference with the progesterone needed to maintain pregnancy. Mifepristone is often combined with the prostaglandin analog misoprostol (administered orally or intravaginally) to induce uterine contractions. It is SPRM: selective progesterone receptor modulator. Its action are: Progesterone R antagonist in endometrium Glucocorticoid R antagonist Androgen antagonist Its uses can be remembered as:M - Morning after PillsI - Induction of abortionF - FibroidE - Endometriosis P R - Progesterone receptor + cancer( Breast cancer and meningioma) I S : Increased Steroids (Cushing syndrome) Tone